True about small bowel diverticula-
1. Contains all the layers of bowel wall
2. Common in terminal ileum
3. Surgical treatment is not required
4. Seen on the mesenteric border

Correct answer: 4. Seen on the mesenteric border

Explanation: Small bowel is uncommon site for diverticula. In small bowel, duodenum is the most common site followed by jejunum and then ileum.
They are mainly acquired type and are false diverticula i.e. their walls consists of only mucosa or submucosa.
They are mainly seen at the mesenteric border.
Small bowel diverticula can be associated with bacterial overgrowth, leading to vitamin B12 deficiency, megaloblastic anemia, malabsorption, and steatorrhoea. This is known as 'blind loop' syndrome and can be treated by a course of antibiotics.
Mostly small bowel diverticula are symptomless unless some complication arises. Complications occur in 6 to 10% of patients and incldues diverticulitis, hemorrhage, perforation, intestinal obstruction and malabsorption.
Duodenal diverticula are mainly seen on the medial border.
Small bowel diverticula can be easily diagnosed by barium meal follow through study. Enteroclysis or Small bowel enema is the most sensitive test.

Treatment

is mainly medical
Surgery is indicated only when complication arises